Axillary artery is divided into three parts by-
1. 1st rib
2. Clavicle
3. Pectoralis minor muscle
4. Teres minor muscle

Correct answer: 3. Pectoralis minor muscle

Explanation: Ans, is 'c' i.e., Pectoralis minor muscle {Ref: Gray's 38th/e p. 39, 387]Axillary arteryo It is the main artesy of upper limb. It begins at the level ofouter border offirst rib as a continuation of subcla vian artery. It ends at the level of lower border of teres major to continue as brachial artery,o The axillary artery is covered anteriorly by pectoralis minor, which divides it into three partsFirst part :-This part is proximal to upper border of pectoralis minor, i.e. extends from outer border of first rib to upper border of pectoralis minor The branch of first part is Superior thoracic artery.Second part :-This part is behind pectoralis minor ft gives following branches.Thoracoacromial artery It pierces clavipectoral fascia and gives following branches (i) Acromial (ii) Pectoral, (iii) Clavicular and deltoid,Lateral thoracic arteryThird partThis part is distal to lower border of pectoralis minor, i.e. extends from pectoralis minor (lower border) to teres major (lower border). It gives following branches -Subscapular arteryIt gives off circumflex scapular artery and then continues us thoracodorsal artery.A nterior circumflex humeral artery.c) Posterior circumflex humeral artery.o Anterior and posterior circumflex arteries (both are branches of 3rd part of axillary artery) forms anastomosis around surgical neck of humerus.